Intron is not found in which DNA ?
1. Nuclear DNA
2. Mitochondiral DNA
3. B DNA
4. Z DNA

Correct answer: 2. Mitochondiral DNA

Explanation: As already explained, mitochondrial DNA contains no (or very few) introns (i.e. untraslated sequences.